HHH syndrome is due to defect in:-
1. Ornithine transcarbamoylase
2. Ornithine permease
3. Ornithine decarboxylase
4. Ornithine

Correct answer: 2. Ornithine permease

Explanation: HHH syndrome is due to defect in Ornithine permease of mitochondrial membrane. Hyperornithinemia: As ornithine can't enter mitochondria, it accumulates in blood. Hyperammonemia: As ornithine is not available, urea cycle can't operate i.e. NH3 can't be detoxified. Homocitrullinuria: As ornithine is not available, ornithine homologue lysine reacts with Carbamoyl phosphate to produce homocitrulline. (Difference between lysine and ornithine is just one CH2 group)